Incised looking laceration is seen in all, except
1. Iliac crest
2. Zygomatic bone
3. Shin
4. Chest

Correct answer: 4. Chest

Explanation: Ans. Chest